A 12-year-old boy reported with a class II and div 1 malocclusion with proclined upper incisor and deep bite. Intraoral examination revealed a bilaterally symmetrical face, convex profile, potentially competent Lips with normal incisor display during rest and smile. Cephalometric finding showed that the patient had a horizontal growth direction with CVMI stage III, increased overjet and normal lower incisor inclination
What is the best method to prevent proclination of lower incisors while treating a case with Twin Block appliance
1. Inter proximal reduction of lower incisors
2. Guided eruption
3. Incisor capping
4. Lip pads

Correct answer: 3. Incisor capping